A 4 year old child should require the following amount of calories to be provided by carbohydrates daily in his diet?
1. 300 Kcal
2. 500 Kcal
3. 800 Kcal
4. 1000 Kcal

Correct answer: 3. 800 Kcal

Explanation: Ans. C. 800KcalA 4 year old child requires 1300Kcal/day; carbohydrates should provide 60% of the daily calorie requirement or about 780Kcal (800Kcal) daily.